Conjugated hyperbilirubinemia is seen in which of the following conditions?
1. Breast milk jaundice
2. Dubin-Johnson syndrome
3. Crigler- Najjar syndrome
4. Gilbert syndrome

Correct answer: 2. Dubin-Johnson syndrome